Bad prognostic sign for Carcinoma breast include the presence of the following
1. HER2 receptor
2. Progesterone receptor
3. Estrogen receptor
4. None

Correct answer: 1. HER2 receptor

Explanation: (A) HER2 receptor # Presence of estrogen & progesterone receptors in the cancer cell is important in guiding treatment. Those who do not test positive for these specific receptors will not be able to respond to hormone therapy, and this can affect their chance; of survival depending upon what treatment options remain, the exact type of the cancer, and how advanced the disease is. Patients whose cancer cells are positive for HER2 have more aggressive disease and may be treated with the 'targeted therapy', trastuzumab (Herceptin), a monoclonal antibody that targets this protein and improves the prognosis significantly